Acute pancreatitis is associated with all except
1. Steatorrhoea
2. Epigastric tenderness
3. Upper abdominal pain
4. Cullen's sign

Correct answer: 1. Steatorrhoea

Explanation: Steatorrhoea is seen in chronic pancreatitis not in acute pancreatitis Cardinal symptom of acute pancreatitis Epigastric or periumbilical pain that radiated to the back Nausea, vomiting Pain is constant. Dehydration, poor skin turgor , tachycardia, hypotension, & dry mucous membrane Flank (Grey Turner), periumbilical (cullen's sign) & inguinal ecchymosis (Fox sign) are indicative of retro peritoneal bleeding associated with severe pancreatitis Ref: Sabiston 20th edition Pgno :1524-1528